Periodontal Screening and Recorder system (PSR) is
recorded by using periodontal probe which has ____________
1. Graduation - 1, 2, 3, 4, 5, 6 7
2. 0.5mm ball tip with color coded 3.5 to 5.5mm
3. Color coded for every 3mm
4. Graduated - 1, 5, 10 & 15mm

Correct answer: 2. 0.5mm ball tip with color coded 3.5 to 5.5mm